According to Piaget cognitive theory, Animism and constructivism are seen in:
1. Pre-operational stage.
2. Sensorimotor stage.
3. Concrete operational stage.
4. Formal operational stage.

Correct answer: 1. Pre-operational stage.

Explanation: • Animism and constructivism are seen in preoperational stage.
• Ego-centrism is seen in concrete operation stage. ,
NOTE: Symbolic play is seen in sensorimotor and pre-operational stage.